Tensile strength of wound
1. Is 10% after 1 week at the time of suture removal
2. Is 70-80% in 3rd  month
3. Achieves plateau in 3rd month
4. All of the above

Correct answer: 4. All of the above

Explanation: Tensile Strength:

1st  wk-Sutures removed - 10%. ↑s over next 4 wks.
3rd month - Plateau 70-80% of unwounded skin (through life).
Collagen - adult skin - type 1; early granulation tissue-type III.